Beta blockers:
1. Relieve symptoms of thyrotoxicosis.
2. Should not be used along with carbimazole.
3. Reduce the synthesis of hormones in the gland.
4. Should not be given before thyroid surgery.

Correct answer: 1. Relieve symptoms of thyrotoxicosis.

Explanation: Beta-blockers provide quick symptomatic relief in thyrotoxicosis that result due to sympathetic overactivity like palpitations, tremors, sweating etc. They have no effect on the synthesis of the hormones in the thyroid gland. They are valuable in providing symptomatic relief while awaiting response to radioactive iodine, carbimazole and before thyroid surgery along with iodides.